Dilator pupillae is supplied by
1. postganglionic parasympathetic from Edingerwest phal nucleas
2. Postganglioninc sympathetic from cervical sympathetic chain
3. Third cranial nerve
4. Sympathatic fibres of fronto-orbital branch of trigeminal nerve

Correct answer: 2. Postganglioninc sympathetic from cervical sympathetic chain

Explanation: ref : A K Khurana ophthalmology 6th edition (page no:7) Ganong 23/e p261,265 dilator pupillae muscle is supplied by the sympathetic fibers from the carotid plexus which enter the Gasserian ganglion of 5th cranial nerves. ultimately reach the muscle along with long ciliary branches of nasociliary nerves (ophthalmic division 5th CN)